The diffusion capacity of lung (DLCO) is decreased in all of the following conditions except -
1. Interstitial lung disease
2. Goodpasture's syndrome
3. Emphysema
4. Primary pulmonary hypertension

Correct answer: 2. Goodpasture's syndrome